Vector for plague is-
1. Pediculus humanus
2. Xenopsylla cheopis
3. Ixodid daminii
4. Haemaphysalis spinigera

Correct answer: 2. Xenopsylla cheopis

Explanation: Option 2 Xenopsylla cheopis It is the agent of plague, a zoonosis, transmitted from rodents by rat flea. The natural reservoir for plague is rodents. Option 1 Vector- Louse (Pediculus humanus corporis) cause:- Trench fever Option 3 Ixodid daminii: causative agent of Lyme's disease Option 4 Haemaphysalis spinigera: causative agent of KFD